An oral drug approved for the treatment of Hepatitis C?
1. Ledipsavir
2. Rimantidine
3. Telbivudine
4. Entecavir

Correct answer: 1. Ledipsavir

Explanation: Ledipsavir is a direct acting antiviral drug used to treat chronic Hep C . It is used in combination with sofosbuvir. trade name being Harvoni Ref: Goodman n Gillman 13th ed.